True precocious puberty can occur in all, except –a) McCune Albright syndromeb) Craniopharyngiomac) Congenital adrenal hyperplasiad) Hypothalamic hamartoma
1. a
2. bc
3. ac
4. b

Correct answer: 3. ac

Explanation: McCune Albright syndrome and congenital adrenal hyperplasia cause peripheral or pseudo precocious puberty.